Fumarase is an example of -
1. Lyase
2. Hydrolase
3. Ligase
4. None

Correct answer: 1. Lyase

Explanation: Fumarase is a Lyase - Enzyme Commission Number- 4. This enzyme converts Fumarate to Malate in TCA cycle. ADDITIONAL READING: EC Number of Hydrolase is 3. Examples of hydrolases are all Digestive Enzymes, Phosphatase EC Number of Ligase is 6. Examples of ligases are Carboxylase Synthetases.